An 18-year-old-female patient with swelling and pain in the mandibular third molar area will most likely to have:
1. juvenile periodontitis
2. pericoronitis
3. pregnancy epulis
4. plasma cell gingivitis

Correct answer: 2. pericoronitis